Sensory nerve supply of larynx below the level of vocal cord is
1. External branch of superior laryngeal nerve
2. Internal branch of superior laryngeal nerve
3. Recurrent laryngeal nerve
4. Inferior pharyngeal nerve

Correct answer: 3. Recurrent laryngeal nerve

Explanation: NERVE SUPPLY OF LARYNX Motor:- All the muscles which move the vocal cord (abductors, adductors or tensors) are supplied by the recurrent laryngeal nerve except the cricothyroid muscle. The latter receives its innervation from the external laryngeal nerve-- a branch of superior laryngeal nerve. Sensory:- Above the vocal cords, larynx is supplied by internal laryngeal nerve--a branch of superior laryngeal, and below the vocal cords by recurrent laryngeal nerve. Ref:- Dhingra; pg num:-298